Endolymph is secreted by:
1. Stria vascularis
2. Basilar membrane
3. Cochlear duct
4. Hensen cell

Correct answer: 1. Stria vascularis

Explanation: The stria vascularis, a complex epithelial structure composed of various cell types, produces endolymph and releases it into the cochlea. The basal and marginal cells are true epithelial cells, whereas the intermediate cells are 'melanocyte-like'.